Bernard Soulier syndrome is due to defect in
1. GP IB/IX
2. GP IIB/IIIa
3. Fibrinogen
4. vWF

Correct answer: 1. GP IB/IX

Explanation: Bernard-Soulier syndrome (BSS), is a rare autosomal recessive bleeding disorder that causes a deficiency of glycoprotein Ib(GpIb), the receptor for von Willebrand factor Causes Mutations in GP1BA, GP1BB and GP9 Diagnostic method Flow cytometry analysis Treatment Platelet transfusion